Fundal height is more than period of gestation in all except :
1. Hydrarnnios
2. IUD
3. Twin pregnancy
4. Hydatidiform mole

Correct answer: 2. IUD

Explanation: Ans. is b i.e. IUD Condition where the Height of Uterus is more than the Period of Amenorrhea. Mistaken dates Twins Polyhydramnios Big baby Pelvic tumours - Ovarian / fibroid H. mole Concealed accidental hemorrhage. Conditions where the Height of Uterus is less than the Period of Amenorrhea. Mistaken dates. * Scanty liquor Fetal growth restriction * Intrauterine fetal death.